Children surveyed in cluster sampling for coverage of national immunization programme is:
1. 30 cluster of 5 children
2. 30 cluster of 7 children
3. 30 cluster of 10 children
4. 30 cluster of 15 children

Correct answer: 2. 30 cluster of 7 children

Explanation: 30 cluster of 7 children